A woman has septic abortion done vegetation on tricuspid Valve is likely to go to
1. Septic infracts to lung
2. Liver
3. Spleen infracts
4. Emboli to brain

Correct answer: 1. Septic infracts to lung

Explanation: Ref Harrison 19 th ed pg 819 Septic pulmonary emboli, which are com- mon with tricuspid endocarditis, cause cough, pleuritic chest pain, nodular pulmonary infiltrates, or occasionally pyopneumothorax. Infection of the aortic or mitral valves presents with the typical clinical features of endocarditis, including peripheral manifestations.